Touton giant cells are seen in?
1. Hodgkin's Lymphoma
2. Juvenile Xanthogranuloma
3. Rheumatic fever
4. Non Hodgkins Lymphoma

Correct answer: 2. Juvenile Xanthogranuloma

Explanation: Touton giant cells are seen in Juvenile Xanthogranuloma, Xanthoma.